Which of the following is/arc didactic methods of health communication?
1. Group discussion
2. Workshop
3. Demonstration
4. All

Correct answer: 3. Demonstration

Explanation: Ans. is 'c' i.e., Demonstration